Urinary bladder spasmolytic having local anaesthetic property-
1. Tamsulosin
2. Terazosin
3. Oxybutynin
4. Yohimbine

Correct answer: 3. Oxybutynin

Explanation: Ans. is 'c' i.e., Oxybutynin oRT Oxybutynin, a newer antimuscarinic, has high affinity for receptors in urinary bladder and salivary glands alongwith additional smooth muscle relaxant and local anaesthetic properties.